One-third of the Rajya Sabha member's retire every?
1. Three years
2. Four years
3. Two years
4. One year

Correct answer: 3. Two years

Explanation: Ans. is 'c' i.e., Two years